Pharmacogenetics is associated with:
1. Variability of enzyme action
2. Individual variability in oral absorption
3. Different DRC in different individuals
4. All of these

Correct answer: 4. All of these